Spermatogonium to Spermatozoon:
1. 64 days
2. 74 days
3. 84 days
4. 94 days

Correct answer: 2. 74 days

Explanation: Ans. (b) 74 daysRef: I.B. Singh 9th ed. /14-15